Reticulocyte level in newborn is ?
1. 0.2-1.5%
2. 1-1.6%
3. 2.5-6%
4. 6-10.2%

Correct answer: 3. 2.5-6%

Explanation: normal reticulocyte count in newborn is 2-6%. Reticulocyte count: Term Newborn -At birth- 3-7% -4th day- 1-3% -7th day < 1% * PT infants reticulocyte count is higher 6-10% remains higher for longer period. Reference: GHAI Essential pediatrics, 8th edition